DiGeorge’s syndrome is characterized by a deficiency of _____.
1. B lymphocytes
2. T lymphocytes
3. Both B and T lymphocytes
4. Antibodies

Correct answer: 2. T lymphocytes

Explanation: DiGeorge’s syndrome is characterized by a deficiency of T cells. It is caused by the failure of the third and fourth brachial pouches to develop normally, resulting in a lack of thymus and parathyroid development.